BCL-2 is the marker for -
1. Follicular lymphoma
2. Mycosis fungoides
3. B-Cell lymphoma
4. Mantle cell lymphoma

Correct answer: 1. Follicular lymphoma

Explanation: In follicular lymphoma , the t(14;18) is seen in upto 90% of them and leads to overexpressiom of BCL2. Ref : Robbins , Pathologic basis of disease, pg : 594